Insulin resistance is seen in all, Except:
1. Werner's syndrome
2. Addison's disease
3. Ataxia telengiectasia
4. Lipodystrophy

Correct answer: 2. Addison's disease

Explanation: Ans. is 'b' Addison's disease Insulin resistance occurs in Cushing's syndrome not in Addison's disease.Other important causes of insulin resistance.Obesity*Ataxia telangiectasia*Lipoatrophic diabetes mellitus*Werner's syndrome *Acromegaly*Pregnancy*Pheochromocytoma*